Eucalyptus camaldulensis is associated with the transmission of -
1. Blastomyces dematitidis
2. Histoplasma
3. Cryptococcus
4. Coccidioides immitis

Correct answer: 3. Cryptococcus